True about boundaries of lesser Sac:
1. Posteriorly stomach
2. Crus of diaphragm anterior
3. Spleen anteriorly
4. Greater omentum

Correct answer: 4. Greater omentum

Explanation: D. i.e. Greater omentum